Maize is deficient in
1. Methionine
2. Lysine
3. Lucine
4. All

Correct answer: 2. Lysine